All of the following are the causes of exudative retinal detachment, EXCEPT:
1. Sympathetic opthalmitis
2. Posterior scleritis
3. Retinopathy of prematurity
4. Orbital cellulitis

Correct answer: 3. Retinopathy of prematurity

Explanation: Exudative Retinal Detachment: Retina is elevated due to the accumulation of fluid beneath it, associated with retinal pigment epithelium damage. Causes: Systemic disease like Toxaemia of pregnancy, Renal hypertension, Blood dyscrasias, Polyarteritis nodosa. Ocular diseases: 1) Inflammations: Harada''s disease Sympathetic opthalmitis Posterior scleritis Orbital cellulitis 2) Vascular diseases: Exudative retinopathy of coats Central serous retinopathy 3) Neoplasms: Retinoblastoma (exophytic) Malignant melanoma of choroid Ref: A K Khurana, 5th Edition, Page 125